Flowable composites differ from nanofilled composites in all aspects except:
1. Flowable have a higher filler content
2. Flowable have lower wear resistance
3. Flowable have higher polymerization shrinkage
4. Flowable have lower strength

Correct answer: 1. Flowable have a higher filler content

Explanation: Flowable composite have lower filler content and consequently inferior physical properties such as wear resistance and strength compared to other composites with higher filler load. They also exhibit higher polymerization shrinkage.
Note: Filler loading of nanofilled composite is 60% by volume and 78% by weight